The strength of dental investment for gold alloy is dependent on the amount of:
1. Silica
2. Carbon
3. Copper
4. gypsum

Correct answer: 4. gypsum